Under national programme for prevention of nutritional blindness, a child in the age group of 6-11 months is given a mega dose of vitamin A equal to:
1. 50,000 IU
2. 1,00,000 IU
3. 1,50,000 IU
4. 2,00,000 IU

Correct answer: 2. 1,00,000 IU

Explanation: First dose is with measles at 9 months - 1, 00,000 IU After 1 year the dose is 2, 00,000 IU Vitamin A supplement is given every 6 month after first dose till 5 year age. Ref: Park's textbook of Preventive and Social Medicine, 21st edition, page-593